Pars planitis is also known as
1. Intermediate uveitis
2. Anterior uveitis
3. Posterir uveitis
4. Pan uveitis

Correct answer: 1. Intermediate uveitis

Explanation: Ans. a (Intermediate uveitis) (Ref. Parson's 19th/pg. 360 & Basak's Ophthalmology, 2nd /p. 151; Q. 157 of MH-2007)INTERMEDIATE UVEITIS (PARS PLANITIS)# Thought to be immunological reaction# 2nd to 4th decade# Usually trilateral (80%)# Floaters & blurring of vision# Snow-ball vitreous opacities# Snow-bank exudates over pars plana ('SNOW-BANKING')# Moderate aqueous cells & flare# Moderate to severe cases need sub-tenon steroid inj or systemic steroids or cryotherapy